Severe pulmonary congestion and edema is seen when PCWP rises above
1. 5 mm Hg
2. lO mm Hg
3. l5 mm Hg
4. 25 mm Hg

Correct answer: 4. 25 mm Hg

Explanation: The blood pressure returned to normal after administration of fluids. Acute pulmonary edema develops if PCWP rises higher than 25 to 30 mm Hg.A phase lag existed between lowering of the pulmonary capillary wedge pressure and clearing of fluid from the alveolar and interstitial spaces in the lungs. Ref Davidson edition23rd pg 585